Hairan syndrome is consists of -
1. Hyperandrogenism
2. Acanthosis nigricans
3. Insulin resistance
4. All of above

Correct answer: 4. All of above

Explanation: Ans. is 'd' i.e., All of above o HAIR-AN syndrome consists of hyperandrogenism (HA), insulin resistance (IR), and acanthosis nigricans (AN),o It is a subset of polycystic ovary syndrome